Haemorrhagic conjunctivitis is caused by?
1. Enterovirus 70
2. Coxsakie virus
3. Enterovirus 72
4. Calcivirus

Correct answer: 1. Enterovirus 70

Explanation: ANSWER: (A) Enterovirus 70REF: Khurana 4th ed p.70Acute hemorrhagic conjuctivitis is caused by enterovirus 70